Positive mortality indicator is ?
1. IMR
2. Child mortality rate
3. MMR
4. Life expectancy

Correct answer: 4. Life expectancy

Explanation: Ans. is 'd' i.e., Life expectancy Mortality indicators These are :? Crude death rate Maternal mortality rate Expectation of life (life expectancy) Disease specific mortality rate Infant mortality rate Age specific death rate Child mortality rate Adult mortality rate Under-5 proportional mortality rate Years of potential life lost Among these only life expectancy is a positive mortality indicator, i.e. increase life expectancy means improvement in health. All other are 'negative' health indicators, i.e. increase value of these indicators implies poor health of community.